Structures which passes through the internal auditory meatus are all except -
1. Nerve of wrisberg
2. Anterior inferior cerebellar artery
3. Superior vestibular nerve
4. Cochlear nerve

Correct answer: 2. Anterior inferior cerebellar artery